At mu receptor, buprenorphine is -
1. Partial agonist
2. Partial antagonist
3. Complete agonist
4. Complete antagonist

Correct answer: 1. Partial agonist

Explanation: Ans. is 'a' i.e., Partial agonist .